Causes of pulmonary-renal syndrome -
1. Leptospirosis
2. Hanta virus
3. Paraquat poisoning
4. All

Correct answer: 4. All

Explanation: The pulmonary renal syndrome is a dramatic presentation with renal and respiratory failure that is not explained by excess intravascular fluid or by severe pneumonia;it occurs in Good pasture' s disease(anti-GBM) and small-vessel vasculitis.Other causes include leptospirosis leading to Weil's disease,Hanta hemorrhagic fever and poisoning with the herbicide paraquat. Ref:Davidson's medicine-22nd edition,page no:519.